All the following are characteristic of I-cell disease except
1. Coarse facial features
2. Corneal clouding
3. Failure to thrive
4. Buphthalmos

Correct answer: 4. Buphthalmos

Explanation: Buphthalmos is not a feature of I- cell disease. It is an inherited lysosomal storage disorder Defect in N-acetylglucosaminyl-1-phosphotransferase. Failure of the Golgi to phosphorylate mannose residues on glycoproteins It is characterized by the following: coarse facial features Gingival hyperplasia clouded corneas Restricted joint movements Claw hand deformities Kyphoscoliosis High plasma levels of lysosomal enzymes